On barium swallow Leiomyoma shows following characteristic appearance-
1. Rat tail appearance
2. Cork screw appearance
3. Oval mass lined by barium
4. String sign

Correct answer: 3. Oval mass lined by barium

Explanation: Ans. is 'c' i.e., Oval mass lined by barium * On barium swallow, leiomyoma may be seen as a discrete round or ovoid submucosal mass that is well outlined by barium. Its borders form slightly obtuse angles with the oesophageal wall.* Oesophageal leiomyoma is a benign smooth-muscle neoplasm of the oesophagus. It is the most common benign tumor of the oesophagus.* They typically involve the mid-to-distal oesophagus.